Which of the following is the common clinical manifestation of human parvovirus B 19
1. Aplastic crisis in hemolytic anemia patients
2. Anemia in neonatal period
3. Erythema infectiosum
4. Hydrops fetalis

Correct answer: 3. Erythema infectiosum

Explanation: *Erythema infectiosum or Fifth disease is a common exanthematous illness of childhood caused by a small DNA virus,parvovirus B19. * The virus has tropism for cells of erythropoietin lineage at pronormoblast stage *Other serious manifestations of parvovirus B19 infection include arthralgia and arthropathy in adolescents or adults, transient aplastic crises in patients with chronic hemolytic anemia, chronic anemia, pancytopenia or marrow suppression, virus associated hemophagocytic syndrome in the immunocompromised, hydrops fetalis in pregnant women and rare episodes of myocarditis in healthy children or adults. Reference: Ghai essential pediatrics 9 th edition Page 213